All are true regarding superior Mesenteric Artery Syndrome, except -
1. Caused by compression of distended duodenum
2. Common in young females
3. Does not occur in obese individuals
4. Most common in 6th - 7th decade

Correct answer: 4. Most common in 6th - 7th decade

Explanation: • Vascular compression of third portion of the duodenum by the superior mesenteric artery as it passes over this portion of the duodenum.
• Also known as Wilkie’s syndrome, cast syndrome, and arteriomesenteric duodenal ileus or compression.
• An abnormally narrow, aortomesenteric angle..
• An abnormally highly fixed transverse duodenum.
• An abnormal course of the mesenteric artery continuing inferiorly, anterior to the unyielding vertebral column.
• Most commonly seen in young asthenic individuals, with women being more commonly affected than men.
• SMA normally leaves aorta at an acute angle (50 - 60°).
• Normally a mass of fat and lymphatics near origin of SMA is believed to protect duodenum from compression.